Biceps Femoris, a hamstring muscle causes
1. Hip flexion and knee Extension
2. Hip and knee Flexion
3. Hip and knee Extension
4. Hip extension and Knee Flexion

Correct answer: 4. Hip extension and Knee Flexion

Explanation: Hamstring Muscles( Biceps femoris long head, semitendinous, semimembranous, and adductor magnus) causes flexion at knee joint and Extension at Hip Joint. Hip flexion and knee Extension by quadriceps femoris muscle Hip and knee Flexion by saorious